Painful arc syndrome which movement is painful:-
1. Initial abduction
2. Terminal abduction
3. Mid abduction
4. Full range of abduction

Correct answer: 3. Mid abduction

Explanation: * Painful arc syndrome is subacute tendinitis of the rotator cuff tendons due to vascular congestion.* Treatment is usually rest +physiotherapy + NSAIDS. If not treated, local steroids and surgery can be done.* Pain is aggravated as arm transverses an arc between 60 and 120 degrees.